1930. The first-line drug therapy in chronic myeloid leukemia is -
1. Hydroxycarbamide
2. Alpha-interferon
3. Busulphan
4. Imatinib

Correct answer: 4. Imatinib

Explanation: Imatinib,dasatinib, and nilotinib specifically inhibit BCR ABL tyrosine kinase activity and reduce the uncontrolled proliferation of white cells They are recommended as first line therapy in chronic phase CML,producing complete cytogenic response(disappearance of the Ph chromosome) Reference :Davidson's principles & practice of medicine 22nd edition pg no 1039